An accused in a case of sodomy is brought for Medical Examination. On detailed questioning he reveals that he is an active agent and is a regular participant. Which of the following will not be seen during examination of the accused:
1. Presence of smegma
2. Foecal smell
3. Tear of Frenulum
4. Relative Constriction of shaft of penis

Correct answer: 1. Presence of smegma

Explanation: A i.e. Presence of smegmaPresence of thick uniform coating of smegma under prepuce & around corona glandis is suggestive of absence of inter course (vaginal or anal) within the last 24 hours since it gets rubbed off during the sexual act. However its an unreliable sign with no medicolegal value as its presence or absence depends on personal hygiene.